Which of the following gene is responsible for Fibrous dysplasia:
1. GNAS1
2. GNAS2
3. GNAS3
4. GNAS4.

Correct answer: 1. GNAS1